In a case of hypertrophic pyloric stenosis, the metabolic disturbance is:
1. Respiratory alkalosis
2. Metabolic acidosis
3. Metabolic alkalosis with paradoxical aciduria
4. Metabolic alkalosis with alkaline urine

Correct answer: 3. Metabolic alkalosis with paradoxical aciduria

Explanation: Ans. C i.e. Metabolic alkalosis with paradoxical aciduria